Method of autopsy in which various systems organs are removed en masse:
1. Rokitansky
2. Virchow
3. Ghon
4. Lettulle

Correct answer: 4. Lettulle

Explanation: Ans. Lettulle